Rhinophyma occurs as complication of
1. Acne vulgais
2. Acne rosacea
3. Psoriasis
4. Plicinphigus

Correct answer: 2. Acne rosacea

Explanation: Rosacea:-Chronic skin infection characterised by symptoms of facial flushing and a spectrum of signs including erythema, telangiectasia,coarseness of skin and inflammatory papulopustular lesion.Features:-1. Red papules and pustules on nose ,forehead,cheeks and chin.2. Frequent flushing 3. Aggravated by sun exposure,foods , alcolhol, spicy foods, hot tea or coffeeextreme temperatures,vasodilator drugs,, h.pylori infection There are 4 subtypes of rosacea erythematotelengieatatic rosacea- flushing,central facial erythema, telengiectasia papulopustular rosacea- persistent central facial erythema with transient papules , pustules, in central facial distribution phymatous rosacea: thick skin with modularity most common over nose-rhinophyma ocular rosacea watery eyes, foreign body sensation, burning/stinging, dryness, itching blepharitis. iadvltextbook of dermatology, page page 856